Small vessel vasculitis includes all of the following EXCEPT?
1. Anti GBM antibody disease
2. Takayasu disease
3. IgA vasculitis
4. Systemic Lupus erythematosus

Correct answer: 2. Takayasu disease

Explanation: Takayasu disease- Large vessel vasculitis Anti GBM antibody disease (Goodpasture disease), SLE & IgA vasculitis (Henoch-Schonlein purpura) are examples of small vessel vasculitis